Adrenal arteries arises from all the following except
1. Renal artery
2. Aorta
3. Inferior phrenic artery
4. Coeliac axis

Correct answer: 4. Coeliac axis

Explanation: Ans) d (Coeliac axis) Ref: BD ChaurasiaAdrenal artery cannot arise from Coeliac axisArterial supply of adrenal glandSuperior suprarenal artery- a branch of inferior phrenic artery.Middle suprarenal artery- a branch of the abdominal aortaInferior suprarenal artery- branch of renal artery.